Sentinel surveillance is used to detect:
1. New cases
2. Missed cases
3. Old cases
4. Reference cases

Correct answer: 2. Missed cases

Explanation: Ans. B: Missed cases The main objectives of surveillance are: To provide information about new and changing trends in the health status of population To provide feedback which may be expected to modify the policy Provide timely warning of the public health disasters so that timely interventions can be mobilized. Sentinel surveillance is a method for identifying all the missing cases and thereby supplementing the notified cases.